Treatment of choice of small preputial penile carcinoma is:
1. Total penectomy
2. Partial penectomy
3. Emasculation
4. Circumcision

Correct answer: 4. Circumcision

Explanation: CA Penis Prepuce: Tx: Wide local excision with 2cm margin Circumcision: Small preputial lesion Partial Penectomy: Lesion on distal shaft Total penectomy:Lesion in proximal shaft with perineal urethrostomy Chemotherapy: BLEOMYCIN CISPLATIN